Eosinophils are activated by
1. IL1
2. IL5
3. IL4
4. IL6

Correct answer: 2. IL5